Which of the following statements regarding ticlopidine is TRUE ?
1. It blocks GpIIb/IIIa receptors on platelet membrane
2. It prevents ADP mediated platelet adenylyl cyclase inhibition
3. It inhibits thromboxane A, synthesis in platelets
4. It does not prolong bleeding time

Correct answer: 2. It prevents ADP mediated platelet adenylyl cyclase inhibition